Soft exudates are found in :
1. DM
2. HTN
3. Toxemia
4. All

Correct answer: 4. All

Explanation: A, B, C i.e. DM; HTN; Toxemia; Coat's disease